Non-respiratory function of lungs ?
1. Anion balance
2. Sodium balance
3. Potassium balance
4. Calcium balance

Correct answer: 2. Sodium balance

Explanation: Ans. is 'b' i.e., Sodium balance(Ref: Lecture notes on human physiology 4th/e p. 400]One of the most important metabolic (non-respiratory) function of lungs:As a part of renin-angiotensin-aldosterone system, lungs indirectly regulate sodium and water balance (and BP).However, lungs also directly affect Na+ balance is epithelial Na+ channels (ERT NaCs).